T4:T8  ratio in gingivitis is :
1. 3:01
2. 2:01
3. 1:01
4. 1:03

Correct answer: 2. 2:01

Explanation: T4:T8 ratio in gingivitis is 2:1.